Size of tracheal tube in a newborn weighing 2.5kg is
1. 2
2. 3
3. 4
4. 5

Correct answer: 2. 3

Explanation: Guidelines for Tracheal Tube Size and Depth of InsertionTUBE SIZE (MM INTERNAL DIAMETER)DEPTH OF INSERTION FROM UPPER LIP (cm)WEIGHT (g)GESTATION (wk)2.56.5-7<1,000<2837-81,000-2,00028-343/3.58-92,000-3,00034-383.5/4.0>=9>3,000>38Ref: Nelson; 20th edition; Page no: 846